Coarse tremors, dysarthria and ataxia are side effects of
1. Lithium
2. Haloperidol
3. Imipramine
4. None

Correct answer: 1. Lithium